Which of the following statements about romosozumab is FALSE?
1. It is a monoclonal antibody against RANK ligand
2. It acts by inhibiting osteoclast
3. It acts by stimulating osteoblast
4. It is indicated in post menopausal osteoporosis

Correct answer: 1. It is a monoclonal antibody against RANK ligand

Explanation: Romosozumab is a monoclonal antibody against sclerostin. Denosumab is monoclonal antibody against RANK ligand. Romosozumab has dual action in osteoporosis. It stimulates osteoblast as well as inhibits osteoclast. It is used for treatment of post menopausal osteoporosis.